Source of ATP in RBCs is ?
1. Glucose
2. Fatty acid
3. Aminoacid
4. Ketone body

Correct answer: 1. Glucose

Explanation: Ans. is 'a' i.e., GlucoseRBCs don't have mitochondria., The only pathway that provides ATP even in anaerobic conditions is glycolysis.Oxidation of reducing equivalents in the respiratory chain is coupled with phosphorylation of ADP to ATP.This is the most important mechanism for capturing the energy present in various nutrients.